Which of the following is the most common congenital cardiac defect?
1. TOF
2. Transposition of great arteries
3. Ventricular septal defect
4. Atrial septal defect

Correct answer: 3. Ventricular septal defect

Explanation: VSD is the most common congenital heart diseaseTOF is the commonest cyanotic congenital heart disease(Refer: Nelson's Textbook of Pediatrics, SAE, 1st edition, pg no. 2194 - 2195)